In defining "Effective literacy rate", the denominator is
1. Total literate population
2. Population aged 7 yrs and above in a given year
3. Total mid-year population
4. Number of literate persons aged 7yrs and above

Correct answer: 2. Population aged 7 yrs and above in a given year

Explanation: Effective literacy rate = Number of literate persons aged 7 and above* 100 / Population aged 7 and above in a given year.Ref:- Park. 23rd ed. Page no 486